The palatal muscle that ends in a tendon that hooks around the hamulus and is inserted in the palate is the
1. Palatoglossus
2. Tensor veli palatini
3. Levator veli palatini
4. Palatopharyngeus

Correct answer: 2. Tensor veli palatini